First generation cephalosporins are active against?
1. Gram negative bacteria
2. Gram positive bacteria
3. Anaerobes
4. Dermatophytes

Correct answer: 2. Gram positive bacteria

Explanation: Ans. is 'b' i.e., Gram positive bacteria